Asymptomatic carriage of gonococcal infection in female is commonly seen in:
1. Endocervix
2. Vagina
3. Urethra
4. Fornix

Correct answer: 1. Endocervix